Gonococci in gram-stained smears are seen inside the
1. Lymphocytes
2. Neutrophils
3. Mast cells
4. Macrophages

Correct answer: 2. Neutrophils

Explanation: Gonococci, in smears from the urethral discharge in acute gonorrhea, appears as diplococcus with adjacent sides concave being typically kidney-shaped. Found predominantly within the polymorphs, some cells containing as many as a hundred cocci. Reference: Textbook of Microbiology; Anathanarayan and panicker's; 10th edition; Page no: 230